Which drug does not cause thyroid dysfunction ?
1. Amiodarone
2. Lithium
3. PAS
4. Paracetamol

Correct answer: 4. Paracetamol